Which of the following increases castability of base metal alloys?
1. Tin
2. Beryllium
3. Molybdenum
4. Carbon

Correct answer: 2. Beryllium

Explanation: Beryllium refines grain size, which increases strength, and lowers the fusion temperature of the alloys, which improves castability. Manganese and silicon also improve the castability of the alloys.
Phillips 12 ed  page no 375